In brain, Which cells convert glutamate to glutamine
1. Oligodendrocytes
2. Astrocytes
3. Ependymal cells
4. Microglia

Correct answer: 2. Astrocytes

Explanation: Ans. (b) Astrocytes(Ref: Ganong, 25th ed/p.85)Astrocytes take up the glutamate and convert it to glutamine with the help of an enzyme glutamine synthase